A village has a total of 100 under-five children. The coverage with measles vaccine in this age group is 60%. Following the occurrence of a measles case in a child after a visit outside, twenty six children developed measles. The secondary attack rate ofmeasles is -
1. 25%
2. 40%
3. 50%
4. 65%

Correct answer: 4. 65%

Explanation: Ans. is 'd' i.e., 65 %